Sclerosing cholangitis is associated with-
1. Ulcerative colitis
2. Celiac sprue
3. Wilson's disease
4. Whipple's disease

Correct answer: 1. Ulcerative colitis

Explanation: Ans. (a) Ulcerative colitis(Ref: Robbins 9th/pg 859-860)PSC is commonly seen in association with inflammatory bowel disease particularly chronic ulcerative colitis, which coexists in approximately 70% of individuals with primary sclerosing cholangitis.Conversely, the prevalence of PSC in persons with ulcerative colitis is about 4%.